If anterior cruciate ligament is broken the tibia moves?
1. Medial to femur
2. Lateral to femur
3. Forward on femur
4. Backward on femur

Correct answer: 3. Forward on femur

Explanation: ANSWER: (C) Forward on femurREF: Snell's 8th ed ch:10Anterior Cruciate Ligament: The anterior cruciate ligament is attached to the anterior intercondylar area of the tibia and passes upward, backward, and laterally, to be attached to the posterior part of the medial surface of the lateral femoral condyle. The anterior cruciate ligament prevents posterior displacement of the femur on the tibia. With the knee joint flexed, the anterior cruciate ligament prevents the tibia from being pulled anteriorly.Posterior Cruciate Ligament: The posterior cruciate ligament is attached to the posterior intercondylar area of the tibia and passes upward, forward, and medially to be attached to the anterior part of the lateral surface of the medial femoral condyle. The posterior cruciate ligament prevents anterior displacement of the femur on the tibia. With the knee joint flexed, the posterior cruciate ligament prevents the tibia from being pulled posteriorly.Injury to the cruciate ligaments can occur when excessive force is applied to the knee joint.Tears of the anterior cruciate ligament are common : Examination of patients with a ruptured anterior cruciate ligament showrs that the tibia can be pulled excessively forward on the femurTears of the posterior cruciate ligament are rare. With rupture of the posterior cruciate ligament, the tibia can be made to move excessively backward on the femur